Gonorrhoea — which is not a presenting feature?
1. Hematuria
2. dysuria
3. Discharge
4. Reddened lips of vulva and vagina

Correct answer: 1. Hematuria

Explanation: symptoms

dysuria
vaginal discharge excessive irritant
acute unilateral pain  and swelling over labia
rectal discomfort
labia look swollen and inflamed